The fetal blood is separated from maternal blood with all except :
1. Extra embryonic mesoderm
2. Syncytio trophoblast
3. Cyto trophoblast
4. Decidua parietalis

Correct answer: 4. Decidua parietalis

Explanation: Decidua parietalis